Anatomical obliteration of ductus arteriosus occurs at:
1. Birth
2. 3-4 day
3. 10 day
4. 30 day

Correct answer: 4. 30 day

Explanation: Complete anatomical obliteration by proliferation of the intima is thought to take 1-3 months.Patent ductus arteriosus (PDA)Failure of a child's DA to close after birth results in a condition called patent ductus arteriosus and the generation of a left-to-right shunt.If left uncorrected, patency leads to pulmonary hypertension and possibly congestive heart failure and cardiac arrhythmias.Prostaglandins are responsible for maintaining the ductus arteriosus.Closure may be induced with a drug class known as NSAIDs such as indomethacin or ibuprofen because these drugs inhibit prostaglandin synthesis.A patent ductus arteriosus affects around 40% of infants with Down syndrome (DS).Changes in circulation after birthThe ductus arteriosus is occluded, so that all blood from the right ventricle now goes to the lungs, where it is oxygenated.Initial closure of the DA is caused by contraction of the muscle in the vessel wallLater in 1-3 months intima proliferation obliterates the lumenSo looking at the choices, 'D' option seems the best answer